Most diffusible ion across membrane:
1. Na+
2. K+
3. Cl-
4. None

Correct answer: 2. K+

Explanation: Ans. (b) K+(Ref: Ganong, 25th ed/p.35)At rest, cell membrane is freely permeable for potassium ionThis is the reason behind development of RMP which is due to potassium ion